A normal child will acquire complete neck control by
1. 8 weeks
2. 16 weeks
3. 28 weeks
4. 24 weeks

Correct answer: 2. 16 weeks

Explanation: GROSS MOTOR DEVELOPMENT:
2 months: Holds head in the plane of rest of the body when held in ventral suspension. In the prone position in bed, the chin lifts momentarily.
3 months: lift head above the plane of the body. Head control starts by 3 months and fully developed by 5 months.
4 months: Remain on forearm support if put in prone position, lifting the upper part of the body off the bed.
5 months: Rolls over.
6 months: sit in a tripod fashion.
8 months: sits without support., crawling
9 months: Takes a few steps with one hand held. Pulls to standing and cruises holding on to furniture by 10 months. 
10 months: creeps
12 months: creeps well, walk but falls, stand without support.
15 months: walks well, walks backward/ sideways pulling a toy. May crawl upstairs.
18 months: Runs, walks upstairs with one hand held. Explores drawers
2 years: walk up and downstairs, jumps.
3 years: rides tricycle, alternate feet going upstairs.
4 years: hops on one foot, alternate feet going downstairs.
5 years: skips